In humans, telomeres have the following sequence
1. 5'-GGCTTG-3'
2. 5'-TTAGGG-3'
3. 5'-TAACGT-3'
4. 5'-GTAGGC-3'

Correct answer: 2. 5'-TTAGGG-3'

Explanation: The ends of each chromosome contain structures called telomeres. Telomeres consist of short TG-rich repeats. Human telomeres have a variable number of repeats of the sequence 5'-TTAGGG-3', which can extend for several kilobases. Ref: Biochemistry by U. Satyanarayana 3rd edition Pgno : 531